The only Sugar normaly absorbed in the intestine against a concentration gradient is :
1. Xylose
2. Mannose
3. Glucose
4. Ribose

Correct answer: 3. Glucose

Explanation: C i.e. GlucoseFinal products of carbohydrate digestion in intestinal chyme are glucose & fructoseQ.The glucose transport in intestine is an example of secondary active transport i.e., the energy of glucose transport is provided indirectly by active transport of Na+ out of cell. Because glucose & Na+ share the same cotransporter (symport) the sodium dependent glucose transporter (SGLT, Na+ - glucose cotransporter, cross cell membrane 12 times), the high concentration of Na+ on mucosal surface of cells facillitate & low concentration inhibit hexose sugar influx into epithelial cells.